The most common presentation of a blue rubber bleb nevus syndrome is:
1. Asymptomatic iron deficiency anemia
2. Cardiac conduction defects
3. Renal aminoaciduria
4. Painful peripheral neuropathy

Correct answer: 1. Asymptomatic iron deficiency anemia

Explanation: Blue rubber bleb nevus syndrome is a rare disorder characterized by the development of cavernous hemangiomas, most commonly involve the skin and the GI tract. The most common presentations of blue rubber bleb nevus syndrome are either the appearance of the skin lesions alone or iron deficiency anemia. Ref: American Gastroenterological Association (AGA) Institute Technical Review on Obscure Gastrointestinal Bleeding 2007.